Emergency treatment for TGV –
1. Balloon septostomy
2. Oxygen
3. Ventilation
4. Digoxin

Correct answer: 1. Balloon septostomy